MCS classification is done for
1. Oncology
2. Medical risk assessment
3. Major salivary gland
4. Mentally challenged subjects

Correct answer: 2. Medical risk assessment